Hemolytic disease of new born is commonly due to incompatibility of which antigen?
1. C antigen in Rh group
2. D antigen in Rh group
3. E antigen in Rh group
4. Lewis antigen

Correct answer: 2. D antigen in Rh group

Explanation: Ans. is 'b' i.e., D antigen in Rh group o Repeat from previous sessions